Dermatophytids are:
1. Fungal hyphae in skin
2. Vegitative fungal cells in keratinised tissue
3. Cutaneous lesions secondary to hypersensitivity to fungal antigens
4. Dead fungal tissue

Correct answer: 3. Cutaneous lesions secondary to hypersensitivity to fungal antigens

Explanation: Ans. c. Cutaneous lesions secondary to hypersensitivity to fungal antigens